Solder and flux used for joining Elgiloy wires are
1. Gold solder and borax flux
2. Gold solder and fluoride flux
3. Silver solder and borax flux
4. Silver solder and fluoride flux

Correct answer: 4. Silver solder and fluoride flux